Lovibond profile sign is seen in -
1. Koilonychias
2. Platynochia
3. Clubbing
4. Onycholysis

Correct answer: 3. Clubbing

Explanation: Ans. is 'c' i.e., Clubbing "Clinical indicators of clubbing are Lovibond profile sign and curth s modified profile sign"o Lovibond angle is the angle located at the junction between the nail plate and proximal nail fold. It is normally less than 160deg. In clubbing, the angle exceeds 180deg (Lovibond profile sign).